Most common cause of a Krukenberg tumour is
1. Ovarian cancer
2. HCC
3. Stomach cancer
4. RCC

Correct answer: 3. Stomach cancer

Explanation: A Krukenberg tumor refers to a malignancy in the ovary that metastasized from a primary site, classically the gastrointestinal tract, although it can arise in other tissues such as the breast. Gastric adenocarcinoma, especially at the pylorus, is the most common source.Krukenberg tumors are often (over 80%) found in both ovaries, consistent with its metastatic nature. Krukenberg tumors can be seen in all age groups, with an average age of 45 years. In most countries, cancer that has metastasized to the ovary accounts for only about 1 to 2% of ovarian cancer; in the remainder, the ovary itself is the primary cancer site. However, in Japan they represent a much higher percentage of malignancies in the ovary (almost 20%) due to the increased prevalence of gastric cancer. Ref: Internet sources (Wiki)